A Pt. has eccbymoses and petechiae all over the body with no hepatosplenomegaly. All are true except -
1. Increased megakaryocytes in bone narrow.
2. Bleeding into the joints
3. Decreased platelet in blood
4. Disease resolves itslef in 80% of Pt. in 2-6 weeks.

Correct answer: 2. Bleeding into the joints